Which of the following is true about Peroneus longus?
1. Invertor of foot
2. Supplied by deep peroneal nerve
3. Maintains arches of foot
4. Arises from tibia

Correct answer: 3. Maintains arches of foot

Explanation: PERONEUS LONGUS origin: head of fibula Lateral surface of shaft of fibula.Insertion: lateral side of base of first metacarpal and adjoining medial cuneiform bone.Nerve supply: superficial peroneal nerve. Action: evertor of foot when the foot is off the ground.Maintain lateral longitudinal arch and transverse arch of the foot.Peroneus longus and Tibialis anterior are inserted into the same two bones, the two together forming a stirrup beneath the middle of sole. The presence of the sling keeps the middle of foot pulled up and prevent flattening of its arches. {Reference: BDC 6E pg no.100}